Increased capillary permeability is caused by all of the following except-
1. Anaphylatoxin
2. 5 hydroxytryptamine
3. Renin
4. Histamines

Correct answer: 3. Renin

Explanation: Ans is 'c' i.e., Renin